All except one is false regarding tetrology of fallot
1. S2 in single
2. Blue TOF murmur is loud
3. These patients will develop congestive cardiac failure in near future
4. With age  proceeds to cardiomegaly

Correct answer: 1. S2 in single

Explanation: In TOF , there is no congestion due to pulmonary oligemia,. So these patients will never develop congestive cardiac failure or cardiomegaly.  In blue TOF  there is silent chest due to equalization of RV and LV pressure .